Brain hemorrhage limited by sutures:
1. EDH
2. SAH
3. SDH
4. ICH

Correct answer: 1. EDH

Explanation: Ans. EDH